Clinical criteria of brain death is all except –
1. Coma
2. Absent brain stem reflex
3. Absent spinal cord reflex
4. Absent motor activity

Correct answer: 3. Absent spinal cord reflex

Explanation: Spinal cord reflexes may be preserved.